Glucocorticoids causes all, except -
1. Muscle wasting
2. Osteoporosis
3. Diabetes mellitus
4. Reduced appetite

Correct answer: 4. Reduced appetite

Explanation: Ans. is 'd' i.e., Reduced appetite